Commonest complication of topical corticosteroid is -
1. Ptosis
2. Cataract
3. Proptosis
4. Glaucoma

Correct answer: 4. Glaucoma

Explanation: Ans. is 'd' i.e., Glaucoma o Amongst the given options cataract and glaucoma are complications of coisosteroids. o Cataract occurs after systemic administration, while glaucoma occurs after topical therapy.